Treatment of choice for squamous anal carcinoma is
1. Abdominoperineal resection
2. Laser
3. Chemoradiotherapy
4. Platinum based chemotherapy

Correct answer: 3. Chemoradiotherapy

Explanation: Radiotherapy with concurrent chemotherapy (Chemoradiotherapy) is the standard of care for patients with nonmetastatic squamous cell anal cancer. Most patients treated with chemoradiotherapy have an excellent prognosis. Nigro Regime :Initial radiotherapy for 3 weeks 3000 rads (30 Gy total) to perineum and pelvis. Then chemotherapy--5 FU, for 4-5 days; is a radiosensitizer, started on 1st day of as 1000 mg/m2 continuous infusion. Mitomycin C is 15 mg/m2 as single dose on 1st day of . Reference : page 987 SRB's manual of surgery 5th edition